Buruli Ulcer is caused by -
1. Streptococcus
2. Spirilliumminus
3. M.Ulcerans
4. Brucella

Correct answer: 3. M.Ulcerans

Explanation: Ans. is 'c' i.e., M. ulcerans o Buruli ulcer is caused by M. ulcerans.o It is the only mycobacteria producing a toxin.o Fish tank granulomaalso called ' swimming pool granuiomaf is caused by M. marinum.Principal types of opportunist mycobacterial disease in man and the usual causative agents.DiseasesUsual causative agentLymphadenopathyM. avium complexM. scrofulaceumSkin lesionPost-trauma abscessSwimming pool granulomaBuruli ulcerM. chelonaeM.fortuitumM. terraeM.marinumM. ulceransPulmonary' diseaseM. avium complexM. kansasiiM.xenopiM.malmoenseDisseminated diseaseAIDS-relatedM, avium complexM.genevenseM.avium complexM. chelonae